TRUE regarding management of traumatic pneumothorax is -
1. Immediate ICD tube insertion
2. CT-scan should be done to confirm pulmonary leak
3. Intermittent needle aspiration
4. Sealed

Correct answer: 1. Immediate ICD tube insertion